Brown induration term used in
1. CVC-Lung
2. CVC- Liver
3. CVC - Spleen
4. CVC-Kidney

Correct answer: 1. CVC-Lung

Explanation: A. i.e. (CVC- Lung) (107-Harsh Mohan 5th)* Chronic Venous Congestion (CVC) of lung - brown induration of the cut surface of the lungs is due to the pigmentation andfibrosis* Breakdown of erythrocytes liberates haemosiderin pigment** which is taken up by alveolar macrophages so called heart failure cells** present in the alveolar lamina* **Nutmeg liver sean in CVC - liver* Gamna -gandy bodies** or siderofibrotic nodules (haemosiderin pigment deposition) - seen in CVC- spleen----Heart Failure----------| |Left- sided Right- sided| |Back- pressure Back pressure| |CVC - lungs Systemic venous congestion |||| CVC- LiverCVC-spleenCVC-KidneyCongested leg veins* Brown tumours found in- Hyperparathyroidism**